All nerve are involved in superior orbital fissuresyndrome except ?
1. 1t
2. 3rd
3. 4'h
4. 6th

Correct answer: 1. 1t

Explanation: Ans. is'a' i.e., 1" Superior orbital fissure syndrome The superior orbital fissure is a cleft between the lesser and greater wing of sphenoid. The structures passed through superior orbital fissure are 3rd,4th,6rn nerve, ophthalmic division of Sth nerve, superior & inferior division of ophthalmic vein and sympathetic fibres. Therefore symptoms of superior orbital fissure syndrome are same as in cavernous sinus thrombosis, i.e., painful ophthalmoplegia :- Pain (retro-orbital pain) and sensory disturbances in the V1(ophthalmic division of 5th nerve)distribution Ipsilateral ophthalmoplegia Ord 4th and 6th nerve involvement).